Most common bone fractured in the Norma Frontalis?
1. Nasal Bone
2. Mandible
3. Parietal Eminence
4. Orbital bones

Correct answer: 1. Nasal Bone

Explanation: The nasal bone is one of the most commonly fractured bones of the face. Mandible and Parietal eminence are next bones to be fractured.Reference: Chourasia; 6th edition; 9th page